Pseudo tumour cerebri is caused by all except:
1. Hypervitaminosis A
2. Outdated tetracycline
3. Nalidixic acid
4. Digoxin

Correct answer: 4. Digoxin

Explanation: Ans: d (Digoxin) Ref: Nelson, 17th ed, p. 2048 & OP Ghai, 6th ed, p. 530Pseudo tumour cerebri is a clinical syndrome that mimics brain tumours and is characterized by increased intra cranial pressure with a normal cerebrospinal fluid cell count and protein content and normal ventricular size, anatomy and positionCAUSES OF PSEUDOTUMOUR CEREBRIMetabolic disoders * Galactosemia* Hypoparathyroidism* Pseudohypoparathyroidism* Hypophosphatasia* Prolonged corticosteroid therapy or too rapid corticosteroid withdrawal* Growth hormone treatment* Refeeding of a significantly malnourished child* Hypervitaminosis A* Vitamin A deficiency* Addison's disease* Obesity* Menarche* Oral contraceptive pills* PregnancyInfectionsHaemetological disorders* Roseola infantum* Chronic otitis media* Mastoiditis* Guillain Barre syndrome* Polycythaemia* Hemolytic anaemia* Iron deficiency anaemia* Wiskott Aldrich syndromeDrugs * Nalidixic acid* Outdated tetracyclins* Nitrofurantoin* Isotretinoin Obstruction of intracranial drainage by venous thrombosisHead injuryObstruction of superior venacava.